True about hypospadias is all except -a) Bifid scrotumb) Meatal stenosisc) Intellectual Disabilityd) Spatulated glanse) Dorsal chordee
1. a
2. cd
3. ac
4. ce

Correct answer: 4. ce

Explanation: Mental stenosis may be associated with hypospadias and needs meatotomy for correction. Bifid scrotum may be seen in penoscrotal, scrotal & perineal hypospadias. Ref : Bailey & Love 25/e p1362